For which one of the following tumors Gastrin is a biochemical marker :
1. Medullary carcinoma of thyroid
2. Pancreatic neuroendocrine tumour
3. Pheochromocytoma
4. Gastrointestinal stromal tumor

Correct answer: 2. Pancreatic neuroendocrine tumour

Explanation: Ans. is 'b' i.e., Pancreatic neuroendocrine tumor Gastrin is secreted by Gastrinomas.Gastrinomas are neuroendocrine tumors found in the duodenum (50 to 70%) pancreas (20 to 40%) andOther intraabdominal sites (mesentery, lymph nodes, biliary tract, liver, stomach, ovary)Excess gastrin secretion leads to Zollinger Ellison SyndromeAlso, knowVerner-Morrison syndrome caused by secretion ofVasoactive intestinal polypeptide (VIP) Verner-Morris on syndrome is also known as pancreatic cholera or WDHA syndrome (excessive watery diarrhea, hypokalemia & achlorhydria)